Burkitt's lymphoma arises from:
1. T cell
2. B cell
3. Pre B cell
4. NK cell

Correct answer: 2. B cell

Explanation: ANSWER: (B) B cell lymphomaREF: Wintrobes clinical hematology 12th edition page 1604.1605, http://en.wikipedia.org/wiki/ LymphomaBurkitt's lymphoma (or "Burkitt s tumor", ''malignant lymphoma, Burkitt's type") is a cancer of the lymphatic system (in particular, B lymphocytes). It is named after Denis Parsons Burkitt, a surgeon who first described the disease in 1956 while working in equatorial Africa.Classification: Currently Burkitt's lymphoma can be divided into three main clinical variants: the endemic, the sporadic and the immunodeficiency-associated variants, which are all associated with HIV and AIDS.Endemic variant: (African) Children affected with the disease often also had chronic malaria, which is believed to have reduced resistance to Epstein-Barr virus (EBV), allowing it to take hold.Sporadic type: (Non-African") is another form of non-Hodgkin lymphoma found outside of Africa.Immunodeficiency-associated Burkitt lymphoma: Associated with HIV infection or occurs in the setting of post-transplant patients who are taking immunosuppressive drugs.